Sauce and cheese retinopathy is seen in –
1. CMV
2. Rubella
3. Toxoplasmosis
4. Congenital syphilis

Correct answer: 1. CMV

Explanation: Sauce and cheese retinopathy is seen in CMV.